Which one of the following features is NOT associated with 1° hyperparathyroidism:
1. Giant cell tumour.
2. Sharply defined radiolucencies of maxilla and mandible.
3. Partial loss of lamina dura.
4. Hypercementosis.

Correct answer: 4. Hypercementosis.